All of the following can cause visual adverse effects except :
1. Ethambutol
2. Rifampicin
3. Chloroquine
4. Digoxin

Correct answer: 2. Rifampicin